A fertilized ovum reaches uterine cavity in?
1. 3-4 days
2. 5-6 days
3. 7-8 days
4. 10 days

Correct answer: 1. 3-4 days

Explanation: ANSWER: (A) 3-4 daysREF: William's obstetrics 22nd ed, Langman s Medical Embryology 9th edition page 45LH Surge24 hours before ovulationOvulation0 hoursFertilization24 hours after ovulation (Day 1)Reaches uterine cavity3-4 days post fertilization (Day 4-5 post ovulation)Implantation7-9 day post fertilization